The mechanism of action of Sodium nitroprusside is
1. Increased cAMP
2. Stimulation of guanylate cyclase
3. Calcium channel blockers
4. Potassium channel blocker

Correct answer: 2. Stimulation of guanylate cyclase

Explanation: Sodium nitroprusside acts by releasing nitric oxide(NO). This stimulate guanylate cyclase and results in the elevation of cGMP, which are vasodilators. Refer kDT 6/e p549